50 year old patient comes with jaundice. She has undergone cholecystectomy 3 years back. MRCP reveals choledocholithiasis. What might be the cause
1. Ascaris lumbricoides
2. Clinorchis sinesis
3. Both of the above
4. None of the above

Correct answer: 3. Both of the above

Explanation: Any obstruction or infection of the bile leads to do choledocholithiasis. Common organisms include ascaris lumbricoides and clonorchis sinensis.